Which of the following is associated with Alcoholic Paranoia?
1. Drowsiness
2. Hallucinations
3. Fixed delusions
4. Impulse Agitation

Correct answer: 3. Fixed delusions

Explanation: Alcoholic paranoia refers to the development of paranoid delusions in the absence of hallucinations. Ref: Mental Disorders and Somatic Illness By Malcolm Harold Lader, page 190.